In Wilms tumor, the following leads to the emergence of resistance to chemotherapy -
1. Nephrogenic rests
2. Monophasic morphology
3. Anaplasia
4. Capsular infiltration

Correct answer: 3. Anaplasia